Pikes medium is used for transport of:
1. Staphylococci
2. Streptococci
3. Shigella
4. Vibrio

Correct answer: 2. Streptococci

Explanation: Streptococci